The state of social dysfunction is called as:
1. Illness
2. Disease
3. Sickness
4. Unwell

Correct answer: 3. Sickness

Explanation: "Sickness" refers to a state of social dysfunction. "Disease" is a physiological/psychological dysfunction. "Illness" is a subjective state of the person who feels aware of not being well.